Most specific antibody seen in RA
1. Anti CCP
2. Rheumatoid factor
3. ANA
4. Anti dsDNA

Correct answer: 1. Anti CCP

Explanation: Answer- A. Anti CCPThe presence of serum anti-CCP antibodies has about the same sensitivity as serum RF for the diagnosis of RA.However, its diagnostic specificity approaches 95% (most specific for RA), so a positive test for anti-CCP antibodies in the setting of an early inflammatory arthritis is usefrrlfor distinguishing RA from other forms of arthritis.